A young boy presents with failure to thrive. Biochemical analysis of a duodenal aspirate after a meal reveals a deficiency of enteropeptidase (enterokinase). The levels of which one of the following digestive enzymes would be affected ?
1. Amylase
2. Pepsin
3. Lactose
4. Trypsin

Correct answer: 4. Trypsin

Explanation: Trypsinogen gets activated by enterokinase present in the intestinal microvillus membranes. Once activated trypsin activates other enzyme molecules. Trypsin activated by the removal of hexapeptide from N- terminal end. Trypsin catalyses the hydrolysis of the bonds formed by carboxyl group of Arg and Lys. Ref : TEXTBOOK OF BIOCHEMISTRY, D.M.VASUDEVAN,6TH EDITION PG NO:172